In all of the following increased cardiac silhouette sign is seen except:
1. Tetralogy of Fallot's
2. Pericardial effusion
3. Aortic regurgitation
4. Ebstein anomaly

Correct answer: 1. Tetralogy of Fallot's

Explanation: A i.e. Tetralogy of Fallot's